STEPS is for -
1. Communicable disease
2. Non-communicabie disease
3. Both
4. None

Correct answer: 2. Non-communicabie disease

Explanation: Ans. is 'b' i.e., Non-communicable disease STEPS risk factorso The WHO STEPwise approach to surveillance of non-communicable diseases risk factors (STEPS) was developed by WHO as a part of a global surveillance strategy in response to the growing need for country-level trends in non-communicable diseases.o By using same standardized questions and protocols, all countries can use STEPS information not only for monitoring within countries trend, but also for making between country comparisons,o The approach encourages the collection of small amounts of useful data information on a regular and continuing basis.o It focuses on a minimum numbers of risk factors that predict the major non-communicable diseases,o This information can, in turn, be used to plan for disease prevention through population level risk factor reduction,o There are currently two primary STEPS surveillance systems, the STEPwise approach to chronic disease risk factor surveillance and the STEPwise approach to Stroke surveillance.STEPwise approach to chronic disease risk factor surv eillance (STEPS)The STEPS approach focuses on obtaining core data on the established risk factors that determine the major disease burden.The STEPS Instrument covers three different levels of "steps'* of risk factor assessment. These steps are:i) Questionnaireii) Physical measurementsiii) Biochemical measurements